All of the following are reasons for reducing drug dosage in elderly, EXCEPT:
1. They are lean and have low body mass
2. Have reduced renal function with age
3. Have increased baroceptor sensitivity
4. Have reduced hepatic metabolism

Correct answer: 3. Have increased baroceptor sensitivity

Explanation: Baroreceptor sensitivity decreases with aging. This decline in baroreceptor sensitivity alters the central nervous system control of sympathetic nervous outflow. Due to this insensitive baroreceptor, large change in blood pressure is needed to activate the baroreceptor and produce an appropriate compensatory response. So for bringing out a desired effect, the drug dosage should be increased in elderly. Ref: Essentials of Medical Pharmacology By KD Tripathi, 5th Edition, Page 53-4; Geriatric Medicine: An Evidence-Based Approach By Christine K. Cassel, 4th Edition, Page 546.